Number of enamel rods has been estimated in lower incisors as
1. 5 million
2. 10 million
3. 2 million
4. 12 million

Correct answer: 1. 5 million